Fasting blood sugar (FBS of a population is known to be normally distributed, with a mean of 105 mg%. SD =10. Thus 95% of the population will have FBS within-
1. 104 and 106
2. 95 and 115
3. 85 and 125
4. 75 and 135

Correct answer: 3. 85 and 125

Explanation: Ref:Parks 23rd edition pg 849. 1SD : confidence limit = 68% 2SD : confidence limit = 95% 3SD : confidence limit = 99.7% 95% means +/- 2SD Here SD =10 So +/- 20 So, between 85 and 125